Most common biotype of S. aureus causing human infection ?
1. A
2. B
3. C
4. D

Correct answer: 1. A

Explanation: Ans. is 'a' i.e., A Staphylococcus aureus has been classified into six biotypes : A, B, C, D, E and F. Most human pathogenic strains belong to biotype A.